Barret's esophagus can lead to -a) Strictureb) Reflux esophagitisc) Peptic ulcerd) Achalasia
1. ac
2. bc
3. ad
4. b

Correct answer: 1. ac

Explanation: The typical complications of Barrets esophagus include

- peptic ulcers in the columnar lined segment of esophagus
- high and long strictures and
- a dysplasia - cancer sequence.